All are true regarding staphylococcal toxin except -
1. Beta haemolysin shows hot cold phenomenon
2. Mainly endotoxin
3. Enterotoxin causes food poisoning
4. Exfoliative toxin causes Ritters disease

Correct answer: 2. Mainly endotoxin

Explanation: Option 1 b Hemolysin: Sphingomyelinase Exhibits hot-cold phenomenon b Hemolysis is better seen at 37oC Option 2 Staphylococcus does not produce endotoxin. Endotoxin Produced by gram (-) ve organisms, the only gram (+) ve organism secreting endotoxin is listeria. Endotoxins are part of the outer membrane of the cell wall of Gram-negative bacteria Option 3 Enterotoxins: Type A is responsible for most of the cases of food poisoning Option 4 Epidermolytic toxin (Exfoliative toxin) causes: 1. Scalded skin syndrome (Nikolsky's sign-epidermal layer separated) 2. Severe- Ritter disease (newborn), toxic epidermal necrolysis (TEN) (adult) 3. Milder- Pemphigus neonatorum, bullous impetigo